Staphyloma involves
1. Iris wth conjuctiva
2. Conjuctiva with cornea
3. Choroid with retina
4. Iris with cornea

Correct answer: 4. Iris with cornea

Explanation: Staphyloma refers to a localised bulging of weak and thin outer tunic of the eyeball (cornea or sclera), lined by uveal tissue which shines through the thinned out fibrous coat. Types of staphyloma - Anterior staphyloma Intercalary staphyloma Ciliary staphyloma Equatorial staphyloma Posterior staphyloma Ref;A.K.Khurana; 6th edition; Page no:144